Defloridation of water is done by which technique
1. Nalgonda
2. Nagpur
3. Patna
4. Kasauli

Correct answer: 1. Nalgonda